Post operative jaundice is because of use of:
1. Isoflurane
2. NO
3. Methoxyflurane
4. Halothane

Correct answer: 4. Halothane

Explanation: D i.e. Halothane